The laryngeal mask airway allows positive pressure ventilation with maximum pressure of:-
1. 10 cm H2O
2. 20 cm H2O
3. 30 cm H2O
4. 40 cm H2O

Correct answer: 2. 20 cm H2O

Explanation: The LMA allows a positive pressure of 20 cm of H2O for ventilation .